Syphilitic arterial aneursysms typically involve which of the following processes?
1. Cystic medial sclerosis
2. Fatty streaks
3. Circumferential calcification
4. Endarteritis of the vasa vasorum

Correct answer: 4. Endarteritis of the vasa vasorum